The following are features of polycythemia rubra vera, except -
1. Increased red cell mass
2. Low arterial oxygen saturation
3. Presence of JAK2 mutation
4. Splenomegaly

Correct answer: 2. Low arterial oxygen saturation

Explanation: In PV, the major pathogenetic mechanism is a tyrosine kinase JAK2 mutation which removes the autoinhibitory control & activates the kinases.

Due to erythrocytosis, red cell mass will be increased .Splenomegaly produces abdominal fullness.But in PV, oxygen saturation will be high.

Reference :Harsh mohan textbook of pathology sixth edition pg no 359.